Which of the follwing cytokine is NOT a hematopoietin?
1. IL-2
2. IL-4
3. IL-7
4. IL-8

Correct answer: 4. IL-8

Explanation: IL-8 is a C-X-C chemokine. Hematopoietins:IL-2, IL-3, IL-4, IL-5, IL-6, IL-7, IL-9, IL-11, IL-12, IL-15, IL-16, IL-17, IL-21, IL-23, EPO, LIF, GM-CSF, G-CSF, OSM, CNTF, GH, and TPO. IL-1 family : IL-1alfa, IL-1beta, IL-1ra, IL-18, bFGF, aFGF, and ECG.RTF C-X-C chemokines: IL-8, NAP-2, ENA78, GCP-2, PF4, CTAP-3, MIG, and IP-10. C-C chemokines:MCP-1, MCP-2, MCP-3, MIP-1alfa, MIP-1beta, RANTES. Ref: Harrisons principles of internal medicine, 18th edition, Page: 2664.